Which of the following is the treatment of choice for Stage-I Wilm's Tumor -
1. Laparoscopic Nephrectomy
2. Open Nephroureterectomy
3. Chemotherapy
4. Observation

Correct answer: 2. Open Nephroureterectomy

Explanation: Ans. is 'b' i.e., Open Nephroureterectomy o The treatment of choice for Stage I Wilm's tumor is Transperitoneal Radical Nephrectomy (Radical Nephroureterectomy) followed by chemotherapy with or without radiotherapy depending on tumor histology. Treatment of Wilms tumor o Treatment of wilm's tumor consists surgical resection followed by chemo and ratiotherapy.